Coarctation of the aorta is common in which syndrome-
1. Down's
2. Turner's
3. Klinefelter's
4. Noonan's

Correct answer: 2. Turner's

Explanation: Ans. is 'b' i.e., Turner's syndrome Coarctation of aorta o Coarctation of aorta (CoA) is a constriction of aorta due to sharp indentation involving anterior, lateral and posterior wall of aorta. o The medial wall is spared in the narrowing. 98% of coarctation occur just below the origin of left subclavian occur at the origin of ductus arteriosus (Juxtaductal coarctation). It may occur just proximal to subclavian A. also. o COA may be a feature of turner syndrome, and is associated with a bicuspid aortic valve. o When COA is associated with mitral valve abnormality and subaortic stenosis, it is referred to as shone complex.